Central tendency is given by -
1. Mean
2. Median
3. Mode
4. All of the above

Correct answer: 4. All of the above

Explanation: Ans. is 'a' i.e., Mean; 'b' i.e., Median & 'c' i.e., Mode Statistical averages o An average or central tendency of a data set refers to a measure of the middle or expected value of the data set. That means, average implies a value in the distribution around which the other value are distributed. It gives a mental picture of the central value. o The commonly used statistical averages are - i) Arithmetic mean (or mean) ii) Median iii) The mode